A 36 year old female came for treatment of infertility. To test for her ovarian reserve, the following is measured:
1. LH
2. LH/FSH ratio
3. FSH
4. Estradiol

Correct answer: 3. FSH

Explanation: The concept of ovarian reserve represents the remaining follicular pool of the ovaries. As ovarian reserve decreases, the ovaries' responsiveness to gonadotropins decreases, necessitating higher amounts of FSH to achieve follicular growth and maturation. In women over age 35, evaluation of ovarian reserve should be assessed. A markedly elevated FSH (>15-20 international units/L) on day 3 of the menstrual cycle suggests inadequate ovarian reserve. Ref: MacKay H., Woo J. (2013). Chapter 18. Gynecologic Disorders. In M.A. Papadakis, S.J. McPhee, M.W. Rabow, T.G. Berger (Eds), CURRENT Medical Diagnosis & Treatment 2014.